Infraclavicular lesion of tuberculosis is known as:
1. Gohns focus
2. Puhl focus
3. Assmans focus
4. Simmons focus

Correct answer: 3. Assmans focus

Explanation: Most common lesion of chronic pulmonary TB is called as puhl lesion. The infraclavicular lesion is called assman redekar simon ficus. In post primary stage coarse granular dissemination is called aschoff puhl focus.(ref Robbins 8th/370)